Type of renal stone formed in a patient with regional enteritis
1. Calcium oxalate
2. Cysteine
3. Struvite
4. Urate

Correct answer: 1. Calcium oxalate

Explanation: Ans. (a) Calcium oxalate* Calcium oxalate kidney stones are most common in CD.* Cholesterol type gallstones are also most common in CD.